Saphenous nerve is a branch of:
1. Tibial nerve
2. Sciatic nerve
3. Common peroneal nerve
4. Femoral nerve

Correct answer: 4. Femoral nerve

Explanation: Branches of femoral nerveAnterior division: In the thigh the anterior division of the femoral nerve gives off anterior cutaneous and muscular branches.- Anterior cutaneous branches: The anterior cutaneous branches comprise the following nerves:Intermediate femoral cutaneous nerve andMedial femoral cutaneous nerve- Muscular branches (rami musculares):The nerve to the Pectineus arises immediately below the inguinal ligament.The nerve to the Sartorius arises in common with the intermediate cutaneous.Posterior division: The posterior division- muscular branches supply the four parts of the Quadriceps femoris.- The branch to the Rectus femoris enters the upper part of the deep surface of the muscle, and supplies a filament to the hip-joint.- The branch to the Vastus lateralis, of large size, accompanies the descending branch of the lateral femoral circumflex artery.The branch to the Vastus medialis descends lateral to the femoral vessels in company with the saphenous nerve.- The branches to the Vastus intermedius.- The articular branch to the hip-joint is derived from the nerve to the Rectus femoris.The articular branches to the knee-joint are three in number.One, a long slender filament, is derived from the nerve to the Vastus lateralis.- Another, derived from the nerve to the Vastus medialis- The third branch is derived from the nerve to the Vastus intermedius.